Drug of choice for imminent eclampsia is
1. Hydralazine
2. Labetolol
3. MgSO4
4. Methyldopa

Correct answer: 3. MgSO4

Explanation: Labetalol and alpha-methyldopa are safe in pregnancy.Labetol is rapid acting and used in hypertensive emergencies.MgSO4 prophylaxis is used in imminent eclampsia and eclampsia.Ref: KDT 7th ed P 573